Punishment for issuing false certificate -
1. 4 years
2. 5 years
3. 6 years
4. 7 years

Correct answer: 4. 7 years

Explanation: Sec 197 IPC: Issuing or signing the false certificate Imprisonment up to 7 years. Ref: Dr. K.S. Narayan Reddy's Synopsis Of Forensic Medicine & Toxicology, 29th edition, Chap 3, Page-31.